Biphasic pattern on histology is seen in which tumor
1. Rhabdomyosarcoma
2. Synovial cell sarcoma
3. Osteosarcoma
4. Neurofibroma

Correct answer: 2. Synovial cell sarcoma

Explanation: Synovial cell sarcoma arises from primitive Mesenchymal tissue that differentates into epithelial and spindle cellls